Which one of the following disorders is not associated with carpel tunnel syndrome?
1. Diabetes mellitus
2. Hypothyroidism
3. Acromegaly
4. Addison's disease

Correct answer: 4. Addison's disease

Explanation: Ref researchgate.net